Battle's sign is?
1. Periorbital ecchymosis
2. Ecchymosis around mastoid area
3. Facial congestion and cyanosis
4. Pulsatile ear discharge

Correct answer: 2. Ecchymosis around mastoid area

Explanation: ANSWER: (B) Ecchymosis around mastoid areaREF: Dhingra 4th ed page 399Battle's sign is hematoma over the mastoid in patients with neurotrauma as a result of extravasation of blood along the path of posterior auricular artery. It appears only after 48-72 hours after the trauma.This sign is named after William Henry BattleIt indicates underlying temporal bone fracture i.e middle cranial fossa.Battle's sign may be the only outward sign of basilar skull fracture, or it may be accompanied by periorbital ecchymosis (raccoon eyes), conjunctival hemorrhage, nystagmus, ocular deviation, epistaxis, anosmia, a bulging tympanic membraneNote:Battle's Sign, a bruise over the mastoid process that indicates basilar skull fracture,Battle's incision, a surgical incision used in appendectomies, with temporary medial retraction of the rectus muscle,Battle's operation, a surgical operation for femoral hernia.